Which of the following most accurately describes the transmembrane  signaling  process  involved  in  the steroid hormone action?
1. Action on a membrane spanning tyrosine kinase
2. Action of a G protein, which activates or inhibits adenylyl cyclase
3. Diffusion across the membrane  and binding to an  intracellular receptor
4. Opening of transmembrane ion channels

Correct answer: 3. Diffusion across the membrane  and binding to an  intracellular receptor

Explanation: Steroid hormones are lipid soluble and act on cytoplasmic receptors after crossing the plasma membrane.